Oral contraceptive failure occurs with:
1. Phenytoin
2. Phenobarbitone
3. Rifampicin
4. All

Correct answer: 4. All